All of the following have general visceral efferent fibers except:
1. Facial nerve
2. Olfactory nerve
3. Oculomotor nerve
4. Glossopharyngeal nerve

Correct answer: 2. Olfactory nerve

Explanation: Ans. b. Olfactory nerve (Ref BDC 6/e Vol III p351)Olfactory nerve does not have general visceral efferent fibers. Functional Division of Cranial Nerve NucleiSensory / AfferentMotor / Efferent1. General Somatic- Sensory nucleus of trigeminal (descending & mesencephalic nucleus of Vth nerve)- Receive sensation of face1. General Somatic- Supply striated muscle derived from somites & involved in tongue & eye movements i.e.- Hypoglossal nucleus of 12thQ- Oculomotor nucleus of 3rdQ- Trochlear nucleus of 4thQ- Abducent nucleus of 6thQ2. General Visceral- Nucleus of tractus solitariusQ- Receive taste from tongue & epiglottis2. General Visceral- Edinger Westphal nucleusQ of 3rd- Superior salivatory nucleusQ of 7th- Inferior salivatory nucleusQ of 9th- Dorsal motor nucleusQ of 10th (Vagus)3. Special somatic- 4 vestibular nucleus- 2 cochlear nucleus- Receive stimuli from ear3. Special Visceral or Branchial component- Innervate muscles derived from branchial arches i.e.- Masticatory nucleusQ of 5th- Facial nucleus of 7th- Nucleus ambigusQ of 9th, 10th, 11th- Spinal accessory nucleus of 12th NerveComponentsNucleusLocation of nucleus in brainstemI (olfactory)SVA--II(optic)SSA--III(Oculomotor)GSEGVEOculomotor nucleusEdinger-Westphal NucleusSuperior colliculus (midbrain)IV (Trochlear)GSETrochlear nucleusInferior colliculus (midbrain)V (Trigeminal)GSAGSAGSASVESpinal nucleusMain sensory nucleusMesencephalic nucleusMotor nucleusPons, medulla, C1, C2 segmentPonsPonsPonsVI (Abducent)GSEAbducent nucleusFacial colliculus (Pons)VII (Facial)SVESVAGVEMotor nucleusNucleus of Tractus SolitariusSuperior Salivatory NucleusPonsVIII (Vestibulocochlear)SSASSAVestibular NucleusCochlear NucleusPons, medullaIX (Glossopharyngeal)SVEGVEGVA, SVA, GSAMotorInferior Salivatory NucleusNucleus of Tractus SolitariusMedullaX (Vagus)GVE, SVEGVA. SVA, GSAMotor, ParasympatheticNucleus of Tractus SolitariusMedullaXI (Accessory)SVESVEMotorSpinal nucleusMedullaUpper five cervical segmentsXII (Hypoglossal)GSEMotorMedulla(SVA: Special visceral afferent; SVE: Special visceral efferent; GVA: General visceral afferent; GVE: General visceral efferent)